Occupational lung disease commonly seen in Textile industry workers is
1. Byssinosis
2. Bagassosis
3. Farmers lung
4. Asbestosis

Correct answer: 1. Byssinosis

Explanation: Workers occupationally exposed to cotton dust (but also to flax, hemp, or jute dust) in the production of yarns for textiles and rope making are at risk for an asthma-like syndrome known as byssinosis. Ref Harrison 19th edition pg 1688